Lid retraction is caused by
1. Bimatoprost
2. Lantanoprost
3. Brimonidine
4. Apraclonidine

Correct answer: 4. Apraclonidine

Explanation: Apraclonidine is sympathomimetic agent used in open angle glaucoma. It decreases aqueous secretion. It can result in upper lid retraction as an adverse effect It can also result in ocular allergy( less likely with brimonidine) Both apraclonidine and brimonidine can cause CNS depression and Apnea in neonates under contraindicated in the children less than 2 years of age Refer drug facts and comparisons 2006/2257